When was ARDS first described?
1. 1962
2. 1967
3. 1965
4. 1964

Correct answer: 2. 1967

Explanation: ARDS was first described in 1967 by ashbaugh & petty. It was defined in 1994 by American European consensus.